Number of tubules per unit area
1. Is 2 times more at pulpal end
2. Is 3 times more at pulpal end
3. Is 4 times more at pulpal end
4. Is 5 times more at pulpal end

Correct answer: 3. Is 4 times more at pulpal end

Explanation: The number of tubules per unit area is more at the pulpal end by 4 times than at their terminal end. Hence the intertubular dentin is well appreciated at the terminal end. The tubules generally have a doubly convex course, the primary curvature (often called ―S‖ shaped tubules), the first convexity of which is directed towards apex.